Kimmelstiel-Wilson lesions are characteristically seen in-
1. Systemic lupus erythematosus
2. Amyloidosis
3. Malignant hypertension
4. Diabetic nephropathy

Correct answer: 4. Diabetic nephropathy

Explanation: Diabetic nephropathy - Within 1-2 yrs after onset of clinical diabetes , morphologic changes appear in the kidney. Thickening of GBM is a sensitive indicator for the presence of diabetes . mesangial sclerosis ( accumulation of extracellular matrix in mesangium) is seen . Some patients also develop eosinophilic ,PAS +nodules called kimmelsteil -Wilson nodules . prominent vascular changes are frequently seen with Hyaline and hypertensive arteriosclerosis . Ref:Harrison 20 th edition pg no 2144